Inter parietal hernia at the level of arcuate line and lateral border of rectus is called
1. Spigelian hernia
2. Lumbar hernia
3. Richter’s hernia
4. Epigastric hernia

Correct answer: 1. Spigelian hernia

Explanation: Spigelian hernia is a variety of interparietal hernia occurring at the level of the arcuate line.
A soft reducible mass may be felt below the umbilicus.